Which of the following tumour shows a radiological sign called "pneumonias dilatans"?
1. Meningiomas
2. Ependymomas
3. Hemangioblastomas
4. Medulloblastomas

Correct answer: 1. Meningiomas

Explanation: Radiological signs of meningiomas:- Dural-based tumor - Hyperostosis of skull- Pneumosinus dilatans - Dural tail sign- Strong homogenous contrast uptake - Calcification common - Mother-in-law sign